Which of the following condition can result in dactylitis?
1. Hemophilia
2. Von Willebrand disease 1
3. Thalassemia
4. Sickle cell anemia

Correct answer: 4. Sickle cell anemia

Explanation: - Dactylitis is often first manifestation of pain in infants & young children with sickle cell anemia - Occurs in 50% of children with sickle cell disease by their 2nd year of life - Dactylitis often manifests with symmetric or unilateral swelling of the hands and/or feet.